Vein of Galen drains into ?
1. Internal Juglar vein
2. External Juglar vein
3. Straight sinus
4. Superior sagittal sinus

Correct answer: 3. Straight sinus

Explanation: Ans. is 'c' i.e., Straight sinusGreat cerebral vein of Galen is formed by union of two internal cerebral veins.It drains into straight sinus.Is 2 cm long.Its tributeries are internal cerebral vein, basal vein, occipital vein and posterior callosal vein.